Which of the following does not supply medulla oblongata?
1. Anterior spinal artery
2. posterior spinal artery
3. Posterior inferior cerebellar artery
4. Superior cerebellar artery

Correct answer: 4. Superior cerebellar artery

Explanation: B D CHAURASIAS HUMAN ANATOMY Volume 3 Sixth edition Superior cerebellar artery ; it arises close to superior border of pons .it wind posterior along superior border of pons and middle cerebellar pedencule supply both